Congenital rubella syndrome is associated with:
1. Cataract
2. Sensory neural hearing loss
3. Congenital heart disease
4. All of above

Correct answer: 4. All of above

Explanation: d. All of above(Ref: Nelson's 20/e p 1548-1551)High Yielding Points about Congenital Rubella Syndrome (CRS)Nerve deafness is the single most common finding among infants with congenital rubella syndrome (CRS)Retinal findings described as salt & pepper retinopathy are the most common ocular abnormalityUnilateral or bilateral cataracts are the most serious eye finding in CRS; Microcephaly is an important featureCardiac abnormalities occur in 50% of children infected during the 1st 8 wk of gestation & include PDA > PS > VSD